Inosculation refers to
1. Growth of lymphatics into the graft
2. Alignment of donor and recipient capillaries
3. Growth of arteries into the graft
4. Diffusion of nutrients into the graft

Correct answer: 2. Alignment of donor and recipient capillaries

Explanation: Inosculation is alignment of donor and recipient capillaries for graft uptake.